From one of the following He la cells are derived
1. Sternal bone marrow
2. Embryonal lung
3. Carcinoma cervix
4. Connective tissue

Correct answer: 3. Carcinoma cervix

Explanation: (C) Carcinoma cervix > Cell lines derived from most virus induced cancers contain path of all of the virus genome. The most famous of these-- He la cell line was established from cervical cancers.